Borderline personality refers is characterized by?
1. Unstable and intense interpersonal relationship
2. Violation of the rules
3. Grandiose
4. Attention seeking behavior

Correct answer: 1. Unstable and intense interpersonal relationship

Explanation: Ans. is 'a' i.e., Unstable and intense interpersonal relationship Borderline personality disorder* The central feature of borderline personality disorder is a pervasive pattern of unstable and intense interpersonal relationship, self perception and mood.* The patient make recurrent suicidal threats and gesture and a small proportion of patients carry out the act or self mutilation like cutting or burning.* The patients have difficulty in controlling their anger and impulsitivity.* There is uncertainty about personal identity.About other options* Violation of the rules - Antisocial (Dissocial) personality disorder* Grandiose - Narcissistic personality disorder* Attention seeking behavior - Histrionic personality disorder